Dried semen stains on clothes are identified by the following method:
1. Spectrometry
2. Ultraviolet rays
3. Infrared rays
4. Magnifying lens

Correct answer: 2. Ultraviolet rays

Explanation: Seminal stains when dry have a greyish-white or yellow-grey colour and show an irregular, map-like outline. When examined under filtered ultraviolet light, they show a fluorescence of a bluish-white colour, which is not specific as other albuminous materials such as nasal, leucorrhoeal discharges and detergents also fluoresce. Fluorescence depends on choline of semen. Ref: The essentials of forensic medicine and toxicology by Dr K S Narayan Reddy, 27th edition, Page 369.